Features of gingivitis
1. Inflamed tissue
2. Bleeding on probing
3. Increased Gingival fluid
4. All of above

Correct answer: 4. All of above